Soft friable extradural hematoma with honeycomb appearance seen in autopsy in cases of death due to -
1. Coagulopathy
2. Thermal injury
3. Post mortem trauma
4. None of the above

Correct answer: 2. Thermal injury

Explanation: Reff: The synopsis of forensic medicine& Toxicology 28th edition pg: 167 Heat hematoma: Heat hematoma is soft, friable clot that is pink in colour and shows honeycomb appearance. It is 2-15 mm thick and contains 100-120 ml of blood. Characteristic feature of thermal injury.